All are opportunistic infection in HIV EXCEPT:
1. Toxoplasmosis
2. Malaria
3. Varicella
4. CMV

Correct answer: 2. Malaria

Explanation: (Malaria): Ref: 1180, -CMDT-09Relationship of CD4 count to development of opportunistic infection* Varicella zoster virus (VZV) infection that occur in HIV infection, include multifocal encephalitis, ventriculitis, myeloradiculitis and arteritis VSV is the major virus associated with acute retinal necrosis (ARN) and progressive outer retinal necrosis (PORN): (1356 - 57 - CMDT)